Acellular pertusis vaccine contains
1. Pertactin, flagillary hemagglutinin, cytotoxin, endotoxin
2. Pertactin, flagillary hemagglutinin, fimbriae, endotoxin
3. Pertactin, cytotoxin, fimbriae, pertactin,
4. Flagillary hemagglutinin, pertusis toxin, fimbriae

Correct answer: 4. Flagillary hemagglutinin, pertusis toxin, fimbriae

Explanation: Flagillary hemagglutinin, pertussis toxin, fimbrial Whole cell pertussis vaccines consist of inactivated Bordetella pertussis bacterial cells. - They arc given as combinations with diphtheria and tetanus toxoids (DTP) vaccines. - Whole cell DTP vaccines cause several local adverse effects. (e.g., erythema, swelling pain at the injection site) and other mild systemic events e.g., (drowsiness, .fretfulness and anorexia). - They are also associated with serious systemic adverse effect such as convulsions with or without fever and hypotonic hyporesponsive episodes sometimes they may also be associated with encephalopathy. Concerns about the safety prompted the development of more purified (Acellular) pertussis vaccine that are associated with a lower frequency of adverse effects and are as effective in preventing pertussis as the whole cell vaccine. There is yet no consensus about the antigenic composition of an ideal acellular pertussis vaccine. A cellular pertussis vaccines currently available .from different manufactures should be considered as different and unique products because of the presence of one or more different components which are : ? - Chemically or genetically detoxified pertussis toxindeg (PT toxoid). - Filamentous hemagglutinin - 69k Da outer membrane protein (also known as pertactin)deg - Fimbrial-2 and fimbrial-3 antigens. - These components are contained in different concentrations and with different degrees of adsorption. - It was believed that active pertussis toxin and endotoxin are responsive for the high incidence of adverse effects of whole cell vaccine. - There fore the acellular pertussis vaccine contains detoxified pertussis toxin or the toxoided pertussis toxin and it does not contain the endotoxins present in whole cell pertussis vaccine. They are associated with considerably lesser side effects than whole cell vaccine and have similar efficacy to a cellular pertussis vaccine (90%).